In health management, cost-benefit analysis is an example of
1. Critical path method
2. Program evaluation and review technique
3. Management by objectives
4. Quantitative methods

Correct answer: 4. Quantitative methods

Explanation: Management techniques are many, can be based on principles of behavioural sciences as well as quantitative methods.Quantitative methods are derived from the field of economics, operation research and budgeting.Cost-benefit analysis is a quantitative management technique, which has attracted the widest attention for application in the health field.Cost-benefit analysis, in which benefits are compared to cost of the program. The benefits are expressed in monetary termsThe main drawback of this technique is that benefits in the health field, as a result of a particular programme, cannot always be expressed in monetary terms.Park 23e pg:871